Occulo-cutaneous albinism is associated with?
1. Squamous cell carcinoma
2. Basal cell carcinoma
3. Melanoma
4. All of the above

Correct answer: 4. All of the above

Explanation: Ans. is 'd' i.e., All of the above "Actinic skin damage, squamous cell carcinoma and basal cell carcinoma are well recognized complications of occulocutaneous albinism; malignant melanoma is much less common complication." - A practical guide human cancer genetics 4th/e; p 192"Increased skin cancer among albinos is mostly non melanoma skin cancer, but melanoma seem elevated as well" - Fitzpatrick's book of dermatology 7th/e; p 1004"SCC is the most common cutaneous malignancy in albinos, occurring approximately twice as frequently in this cohort than in normal population." - Cutaneous Malignancy of the Head and Neck: A Multidisciplinary Approach; pl21